Which of the following is a hemolytic anemia:
1. Sickle cell anemia
2. Thalassemia
3. Hereditary spherocytosis
4. All of the above

Correct answer: 4. All of the above